Which among the following is TRUE regarding umbilical cord?
1. Two arteries
2. Hypercoiling is an anatomical variation without clinical significance
3. A long cord is defined as more than 80 cm
4. Two veins

Correct answer: 1. Two arteries

Explanation: The cord at term normally has two arteries and one vein. The right umbilical vein usually disappears early during fetal development, leaving only the original left vein. At birth, the mature cord is approximately 50-60 cm in length and 12 mm in diameter. A long cord is defined as more than 100 cm, and a short cord as less than 30 cm. Umbilical coiling index (UCI) is defined as the number of complete coils divided by the length of the cord in centimeters. Clinically, hypocoiling (UCI 0.3 coils/cm) is related to fetal-growth restriction and intrapartum fetal acidosis and asphyxia. Both have been linked to trisomies and single umbilical artery Ref: Cunningham F.G., Leveno K.J., Bloom S.L., Hauth J.C., Rouse D.J., Spong C.Y. (2010). Chapter 3. Implantation, Embryogenesis, and Placental Development. In F.G. Cunningham, K.J. Leveno, S.L. Bloom, J.C. Hauth, D.J. Rouse, C.Y. Spong (Eds), Williams Obstetrics, 23e.